Which of the following muscles is responsible for the formation of the posterior tonsillar pillar?
1. Stylopharyngeus.
2. Tensor veli palatine.
3. Palatoglossus.
4. Palatopharyngeus.

Correct answer: 4. Palatopharyngeus.

Explanation: The palatopharyngeus forms the posterior tonsillar pillar. It also functions to close off the nasopharynx and larynx during swallowing. The anterior tonsillar pillar is formed by the palatoglossus.